IF4F include all except
1. 4A
2. 4G
3. 4E
4. 4S

Correct answer: 4. 4S

Explanation: IF 4F consist of 4A, 4G, 4E subunits.